Juvenile myoclonic epilepsy is worsened by
1. Lamotrigine
2. Levetiracetam
3. Phenytoin
4. Zonisamide

Correct answer: 3. Phenytoin

Explanation: Phenytoin & Carbomazepine can worsen absence & myoclonic seizures.